All are measures of primordial prevention of hypertension, except -
1. Dietary changes
2. Restrain smoking
3. Identification of hypertensive
4. Regular physical exercise

Correct answer: 3. Identification of hypertensive

Explanation: Primordial prevention is to reduce the incidence of a disease in a population by reducing the risk of onset i:e, restrain smoking, regular exercise, dietary changes. *Identification of Hypertensive is secondary prevention. Ref- Park's textbook of Preventive and Social Medicine 24th edition. .